In high myopia which of the following is seen?
1. Uveitis
2. Chorioretinal degeneration
3. Papillitis
4. Retinal. Hemorrhages

Correct answer: 2. Chorioretinal degeneration

Explanation: Steroid-induced glaucoma Secondary open angle glaucoma TheoriesGlycosaminoglycans theory- Steroids inhibits the release of hydrolases -GAG in trabecular meshwork cannot depolymerize and retain water in ECS - narrowing of trabecular spaces and decrease in aqueous humor outflow Endothelial cell theory- Steroids suppress the phagocytic activity of endothelial cells - collection of debris in the trabecular meshwork - decreasing in aqueous outflow PG theory- Steroids inhibit the synthesis of PGE and PGF - decrease in aqueous outflow facility & increase in IOP Features - develops following weeks of topical therapy with strong steroids and months of therapy with weak steroids Treatment - discontinuation of steroids ; 0.5% timolol maleate ; filtration surgery (Refer: AH Khurana, Comprehensive Textbook of Ophthalmology,5thedition, pg no: 32-36)